A patient after heavy drinking of alcohol presents with too much vomiting & haematemesis. Most likely diagnosis could be:
1. Mallory Weiss syndrome
2. Oesophageal carcinoma
3. Achalasia cardia
4. Boerhaave syndrome

Correct answer: 1. Mallory Weiss syndrome

Explanation: Ans: A i.e. Mallory Weiss syndromeEsophagus disorders & presentationIn Mallory Weiss syndrome, vigorous vomiting produces a vertical split in gastric mucosa, immediately below the squamo-columnar junction at the cardia in 90% of cases. The condition presents with haematemesisMost oesophageal neoplasms presents with mechanical symptoms, principally dysphagia, but sometimes also regurgitation, vomiting, odynophagia & weight lossAchalsia cardia presents with dysphagia, although pain (often mistaken for reflux) is common in the early stages.In Boerhaave's syndrome, vomiting occurs against a closed glottis, and pressure builds up in the oesophagus